First treatment of rupture of varicose veins at the ankle should be -
1. Rest in prone position of patient
2. Application of a tourniquet proximally
3. Application of a tourniquet distally
4. Direct pressure and elevation

Correct answer: 4. Direct pressure and elevation

Explanation: Ans. is 'd' i.e., Direct pressure and elevation Varicose veins around the ankle foot and lower leg specially in the elderly are highly vulnerable to haemorrhage which may occur with minor trauma or spontaneously when patient is up and about. The ensuing haemorrhage may be copious but is easily stopped by finger pressure or when patient lies down with foot elevated and a firm pad and bandage is applied'. Treatment must be completed by elimination of affected varicosity which may be achieved by compression sclerotherapy.